Group of 4-8 experts talking in front of a large group of audience is known as:
1. Panel discussion
2. Symposium
3. Workshop
4. Seminar

Correct answer: 1. Panel discussion

Explanation: In a panel discussion, 4-8 persons who are qualified to talk about the topic sit and discuss a given problem, or the topic, in front of a large group of audience Panel Discussion A panel consists of a small group of four or eight persons, who carry on a guided and informal discussion before an audience as if the panel were meeting alone. The proceedings of the panel should be the same as those described for informal discussion: volunteering of facts, asking questions, stating opinions-all expressed with geniality, with respect for the contributions of other is taken. Ref: Park 24th edition